The main metabolite of nicotine is
1. Nornicotine
2. Carboxynicotine
3. Cotinine
4. Nicotine hydroxide

Correct answer: 3. Cotinine

Explanation: Nicotine is metabolized in liver, lung and brain to cotinine by CYP2A6 enzyme. A plasma cotinine levels of >14ng/ml typically indicates smoking.